The animal model frequently used for M. Leprae is -
1. Mice
2. Guinea pig
3. Rabbits
4. Golden hamsters

Correct answer: 1. Mice

Explanation: Ans. is 'a' i.e., Mice Foot pad mice and armadillo are used for multiplication and isolation of M. leparae